Rectus adominis is inserted into :
1. Xiphoid process
2. Median raphae
3. Linea alba
4. 1-4 ribs

Correct answer: 1. Xiphoid process

Explanation: A. i.e. Xiphoid process